Disadvantage of cast perforated resin retained fpd is
1. Weakening of metal retainer
2. Wear of resin at perforation
3. Less adhesion
4. All of the above

Correct answer: 4. All of the above

Explanation: Disadvantage:

Weakening of the metal retainer by the perforations.
Exposure to wear of the resin at the perforations.
Limited adhesion of the metal provided by the perforations.